Most pathognomic in pelvic abscess is
1. Constipation
2. Mucopurulent discharge
3. Loose stool
4. Bleeding

Correct answer: 2. Mucopurulent discharge

Explanation: Pelvic abscess is the most common intraperitoneal abscess(50-60%).It is the collection of pus in rectovesical / rectouterine poch (pouch of Douglas).The most characteristic features are diarrhoea & passage of mucopurulent discharge per rectum.Per rectal examination shows a soft,tender,boggy swelling in the anterior rectal wall which may burst into the rectum. Reference:Bailey & Love 's short practise of surgery,25th edition,page no:996;SRB's manual of surgery,5th edition,page no:574